Nitroglycerine exerts beneficial effects in variant angina primarily by:
1. Coronary vasodilation
2. Decreased ventricular contractility
3. Reduction of cardiac preload
4. Reduction of cardiac afterload

Correct answer: 1. Coronary vasodilation